Atrial fibrillation may occur in all the following conditions except
1. Mitral stenosis
2. Hypothyroidism
3. Dilated cardiomyopathy
4. Mitral regurgitation

Correct answer: 2. Hypothyroidism

Explanation: Cardioversion within 48 h of the onset of AF is common practice in patients who have not been anticoagulated, provided that they are not at high risk for stroke due to a prior history of embolic events, rheumatic mitral stenosis, or hypertrophic cardiomyopathy with marked left atrial enlargement. Ref Harrison 20th edition pg 1432